The Le-Been shunt is used In
1. Ascites
2. Dialysis
3. Raised ICT
4. Raised IOP

Correct answer: 1. Ascites

Explanation: The Lee-Been shunt in ascites is done between peritoneum and superior vena cava The Lee-Been shunt is designed for the relief of ascites due to chronic liver disease. One end of the silastic tube is inserted into the ascites within the peritoneal cavity and the other end is tunneled subcutaneously to the neck, where it is inserted under direct vision into the internal jugular vein and fed into the SVC Ref: Bailey and love 27th edition Pg no : 1077